30 years old male presents with painful flaccid bullae on right face and oral mucosa without evidence of inflammation or redness; what is the most probable diagnosis?
1. Pemphigus vulgaris
2. Pemphigus foliaceous
3. Bullous pemphoid
4. Dermatitis herpetiformis

Correct answer: 1. Pemphigus vulgaris

Explanation: Ans. is 'a' i.e., Pemphigus vulgaris